The newer contraceptive program introduced in Family Planning is
1. Parivahana
2. Antara
3. Prerana
4. Indradanush

Correct answer: 2. Antara

Explanation: The Ministry of Health and Family Welfare has launched two new contraceptives, an injectable contraceptive MPA (medroxyprogesterone) under the 'Antara' programme and a contraceptive pill, 'Chhaya' (Centchroman), in the public health system to expand the basket of contraceptive choices to meet the emerging needs of couples.